Epithelioid hemangioendothelioma of nose is
1. Carcinoma
2. Sarcoma
3. Carcinosarcoma
4. Hamartoma

Correct answer: 2. Sarcoma

Explanation: Ans. is 'B' i.e., SarcomaSoft tissue sarcoma arise from mesenchyme, like muscles (myoma), endothalial cells (endothelioma) and cartilage (chondroma)Epithelioid hemangioendothelioma (EHE) is a soft tissue sarcoma.It arises from distinct type of endothelial cells which exhibit epitheloid morphology.